Which of the following drug is not used for Methicillin Resistant Staph. Aureus (MRSA).?
1. Cefaclor
2. Cotrimoxazole
3. Ciprofloxacin
4. Vancomycin

Correct answer: 1. Cefaclor

Explanation: Ans- A Cefaclor Drugs used for MRSA Vancomycin Chloramphenicol Linezolid Minocycline Quinupristin/ dalfopristin Trimethoprim - sulfamethoxazole Fluoroquinolones